Sulphur of cysteine are not used/utilised in the body for the following process/product:
1. Help in the conversion of cyanide to thiocyanate
2. Thiosulphate formation
3. Introduction of sulphur in methionine
4. Disulphide bond formation between two adjacent peptide

Correct answer: 3. Introduction of sulphur in methionine

Explanation: Ans. C. Introduction of sulphur in methionine.Methionine is an essential amino acid, so it cannot be synthesized from Cysteine.But Sulphur of cysteine is donated by sulphur of methionine.This is called transulfuration reaction.PLP is the coenzyme of transulfuration.The reaction is catalysed by Cystathionine beta Synthase and Cystathionase enzyme.